Orphan-Annie-eyed nuclei are seen in:
1. Papillary carcinoma
2. Follicular carcinoma
3. Anaplastic carcinoma
4. Medullary carcinoma

Correct answer: 1. Papillary carcinoma

Explanation: (Papillary carcinoma): Ref: 798-LB (793-B &L 25th)* Histologically the papillary carcinoma shows papillary projections and characteristic pale, empty nuclei (Orphan-Annie - eyed nuclei)* Papillary carcinoma is the most common of the thyroid neoplasms and is usually associated with an excellent prognosis* The association of irradiation and thyroid cancer has been known usually papillary carcinoma* Psammoma bodies is diagnostic of papillary carcinoma